Sinusitis is least involved in -
1. Maxillary
2. Ethmoid
3. Frontal
4. Sphenoid

Correct answer: 4. Sphenoid